Stomach is derived from ?
1. Foregut
2. Midgut
3. Hindgut
4. Allantois

Correct answer: 1. Foregut

Explanation: Foregut